18 years old male hears voices discussing him in 3rd person has
1. Obsession
2. Depression
3. Mania
4. Schizophrenia

Correct answer: 4. Schizophrenia

Explanation: Voices discussing the person in 3rd person (third person hallucination) is characteristic of schizophrenia.